Percentage available chlorine from bleaching powder is:-
1. 10%
2. 33%
3. 66%
4. 95%

Correct answer: 2. 33%

Explanation: Bleaching powder contains : 33% available chlorine. Bleaching powder required for disinfection of 1000 litres of water = 2.5 grams. Also Remember, Free/ residual chlorine levels recommended in:- Drinking water = >= 0.5 mg/ L ; with contact period of 1hr. Drinking water to kill cyclops = >= 2.0 mg/L ; with contact period of 1hr. Swimming pools of India =>= 1.0 mg/L ; with contact period of 1hr.